All of the following statements are true, except
1. Infective endocarditis can develop large friable vegetations
2. Non Bacterial thrombotic endocarditis develops in DIC
3. Vegetations of Infective endocarditis occurs on both surfaces of cusps
4. All of the above

Correct answer: 3. Vegetations of Infective endocarditis occurs on both surfaces of cusps

Explanation: Optic C is true for libman - sacks endocarditis seen in SLE. Refer the byte "Vegetations in Endocarditis".